Beta-Oxidation is peroxisome is differentiated from that occurring in mitochondria by:
1. Acetyl CoA
2. H202 formed
3. Different enzymes are found in different sites
4. NADH is required

Correct answer: 2. H202 formed

Explanation: B i.e. H202 formed